Specific marker for prostatic cancer is -
1. Alkaline phosphatase
2. Prostate specific antigen
3. Acid phosphatase
4. CA 125

Correct answer: 2. Prostate specific antigen